The Haemophilus influenzae vaccine contains which of the following
1. Lipopolysaccharide (LPS)
2. Live attenuated H. influenzae
3. Polypeptide antigens containing D-glutamate
4. Polyribitol phosphate antigens

Correct answer: 4. Polyribitol phosphate antigens

Explanation: Polysaccharide vaccine Haemophilus influenzae type b is a bacterium with a polysaccharide capsule; the main component of this capsule is polyribosyl ribitol phosphate (PRP). Anti-PRP antibodies have a protective effect against Hib infections. Thus, purified PRP was considered a good candidate for a vaccine Ref ananthnarayana microbiology textbook 8/e